In CDH, the hip and knees are held in a flexed position and gradually abducted a 'click of entrance' will be felt as the femoral head slips into the acetabulum from the position of the dislocation is known as:
1. Barlow's test
2. Ortolani's test
3. Thomas test
4. Laseguetest

Correct answer: 2. Ortolani's test

Explanation: (Ortolani's test) (201-M) (410-Apley 8th)ORTOLANI'S TESTBARLOW'S TESTThe baby's thighs are held with the thumbs medially and the fingers resting on the greater trochanter, the hips are flexed to 90deg and gently abducted, normally there is smooth abduction to almost 90deg. In CDH, the movement is usually impeded, but if pressure is applied to the greater trochanter there is a soft clunk' as the dislocation reduces, and then the hip abducts fully (the "jerry of entry") If abduction stops half-way and there is no jerk of entry, there may be an irreducible dislocation.The examiner's thumb is placed in the groin and by grasping the upper thigh an attempt is made to lever the femoral head in and out of the acetabulum during abduction and adduction. If the femoral head is normally in the reduced position, but can be made to slip out of the socket and back in a again, the hip is classed as "dislocatable" (i.e. unstable)